All the following are signs of overhydration except
1. Increase in respiratory rate by 5/minute
2. Increasing edema
3. Increase in the urine output
4. Increase in pulse rate by 15 / minute

Correct answer: 3. Increase in the urine output

Explanation: One must be alert for signs of overhydration (increase in respiratory rate by 5/minute and pulse rate by 15 / minute, increasing edema and periorbital puffiness), which can be dangerous and may lead to heart failure. In case of signs of overhydration, ORS should be stopped immediately and child reassessed after one hour. On the other hand, a decrease in the heart rate and respiratory rate (if increased initially) and increase in the urine output indicate that rehydration is proceeding. The return of tears, a moist oral mucosa, less sunken eyes and fontanelle and improved skin turgor are also indicators of rehydration. Once any four signs of hydration (childless thirsty, passing urine, tears, moist oral mucosa, eyes less sunken, faster skin pinch) are present, ORS for rehydration must be stopped and continued to replace the ongoing losses. Reference: Paediatrics; O.P Ghai; 8th edition; Page no: 104